The type of fracture which occurs in infants and children is
1. Greenstick fracture
2. Signature fracture
3. Mosaic fracture
4. Sutural fracture

Correct answer: 1. Greenstick fracture

Explanation: Pond fracture ( Indented fracture, Greenstick fracture) This type of fracture occurs in infants and children due to incomplete ossification of the skull bones. On the outer table, a dent is formed just like that on a ping pong ball and the inner table is usually not fractured. It is also called Ping pong fracture. ref: FORENSIC MEDICINE AND TOXICOLOGY Dr PC IGNATIUS THIRD EDITION PAGE 163